Type B gastritis -a) Body predominant b) Fundus predominantc)  Antral predominant d) H. pylorie) Autoimmune
1. ab
2. bc
3. bd
4. cd

Correct answer: 4. cd

Explanation: Chronic atrophic gastritis 

Chronic atrophic gastritis is a process of chronic inflammation of the stomach mucosa, leading to loss of gastric glandular cells and their eventual replacement by intestinal and fibrous tissue.
Chronic atrophic gastritis is classified according to the predominant site of involvement :-
1.  Type 'A' gastritis
It refers to body - predominant form involving fundus and body with sparing of antrum.
It is also called as autoimmune gastritis as the damage is due to autoimmunity.
It is less common of the two forms of chronic atrophic gastritis.
2.  Type `B' gastritis
It is called as antral predominant gastritis as antrum is involved predominantly. However, it is misnomer as the inflammatory process may progress to body and fundus and causing pangastritis.
H. pylori infection is the cause of type B gastritis.
It is the most common cause of chronic gastritis and by for the most important etiological association with chronic gastritis is chronic infection with H. pylori.